Laparoscopic cholecystectomy is largely preferred for all the following reasons to conventional laparotomy except
1. Decrease pain
2. Decreased incidence of bile duct injuries
3. Smaller scar
4. Decreased stay in hospital

Correct answer: 2. Decreased incidence of bile duct injuries

Explanation: Bile duct injury Most benign strictures follow iatrogenic bile duct injury Most commonly during laparoscopic cholecystectomy Incidence of bile duct injury during open cholecystectomy is 0.1-0.2% Incidence of bile duct injury during laparoscopic cholecystectomy is 0.3-0.85% Morbidity rate, hospital stay, and time to return to work are lower in patients undergoing laparoscopic cholecystectomy than open cholecystectomy Ref: Sabiston 20th edition Pgno :1494